covert sensitization is a type of
1. analytic therapy
2. behavioral therapy
3. mindfulness therapy
4. dynamic therapy

Correct answer: 2. behavioral therapy

Explanation: In covert sensitization also called as imagined punishment, the individual who wants to quit alcohol will be asked to think about adverse consequences of taking alcohol like getting arrested for drunken driving or facing a accident underintoxicated state. He would be told to dream as if if he is drunk and lies intoxicated in the road and has to be brought back to the home by family members where he will be given lot of advice from neighbours and there would be a loss of respect. While these imagined exposure the patient feels bad and makes sure thet he should quit alcohol and his thoughts ahgainst alcohol increases. Ref. kaplon and sadock, synopsis of psychiatry, 11 th edition, pg no. 845